Vein draining to IVC is:
1. Left testicular vein
2. Rt suprarenal vein
3. Lt. ovarian vein
4. Lt. suprarenal vein

Correct answer: 2. Rt suprarenal vein

Explanation: B. i.e. Rt. Supra renal vein- Left testicular / ovarian / supra renal vein drain into left renal veinQ before entering to IVC.Right testicular / ovarian / suprarenal vein and both renal veins drain into IVCQ